Striae of Retzius are prominent in which of the following zones of enamel caries:
1. Translucent zone.
2. Dark zone.
3. Body of the lesion.
4. Surface zone.

Correct answer: 3. Body of the lesion.

Explanation: Body of the lesion

Between unaffected surface and dark zone
Area of greatest demineralization
Pore volume – 5% in periphery and 25% in center
Quinoline inhibition – body appears transparent
Water inhibition – Positive birefringence compared to sound enamel
Striae of Retzius - prominent